Train of four fade is a characteristic feature of:
1. Depolarizing block
2. Non depolarizing block
3. Both depolarizing and non-depolarizing block
4. Malignant hyperthermia

Correct answer: 2. Non depolarizing block

Explanation: Train of four fade is a characteristic of a non-depolarizing block. The Train-of-four stimulation denotes the administration of four successive 200-ps stimuli in 2 seconds (2 Hz) and a series of patterns are produced and these patterns differ in a depolarizing block differs from that of a non-depolarizing block. In a non-depolarizing block there is progressive depression of height with each twitch (fade) and in a depolarizing block there is equal depression of all four twitches (No fade). Ref: Clinical Anesthesiology By G. Edward Morgan, 4th Edition, Pages 152, 209